Gelastic seizure is a
1. Laughing epilepsy
2. Febrile epilepsy
3. Postpartum epilepsy
4. Clonic-tonic type epilepsy

Correct answer: 1. Laughing epilepsy

Explanation: (A) Laughing epilepsy # Gelastic seizure or "Gelastic epilepsy" is a rare type of seizure that involves a sudden burst of energy, usually in the form of laughing or crying. This syndrome usually occurs for no obvious reason and is uncontrollable. It is slightly more common in males than females.> Term Gelastic originates from the Greek word "Gelos" which means laughter. The main sign of a gelastic seizure is a sudden outhurst of laughter or crying with no apparent cause. The laughter may sound unpleasant and sardonic rather than joyful. The outburst usually lasts for less than a minute.> During or shortly after a seizure, an individual might display some twitching, strange eye movements, lip smacking, fidgeting or mumbling. If a person of who suffers from the seizures is hooked up to an electroencephalogram it will reveal interictal epileptic discharges.> A gelastic seizure is typically caused by a hypothalamic hamartomas, or a brain tumor.> Gelastic seizures are not responsive to therapy. They can produce secondary seizure characteristics which may respond to medications or surgery.